A disease occurring before 65 yr of age is termed as:
1. Senile
2. Pre senile
3. Post adolescent
4. Post senile

Correct answer: 2. Pre senile

Explanation: Ans. B: Pre senile